Commonest complication of Meckel's diverticulum is:
1. Bleeding
2. Perforation
3. Diverticulitis
4. Intussusception

Correct answer: 1. Bleeding

Explanation: Ans: a (Bleeding)Ref: Bailey & Love, 24th ed, p. 1159 & 23rd ed, p. 1033